Xanthurenic acid is the metabolic end product of?
1. Xanthine
2. Uric acid
3. Tryptophan
4. Uronic acid

Correct answer: 3. Tryptophan

Explanation: In the major catabolic pathway of tryptophan, kynurenine is an enzyme dependent on pyridoxal phosphate. Therefore in Vitamin B6 deficiency, the pathway at this level is blocked. The accumulated kynurenine is shunted to Xanthurenic acid and is excreted in urine. Ref: Textbook of Biochemistry DM Vasudevan, 5th Ed, page 208